All of the following can be seen after transurethral resection of prostate except -
1. Congestive cardiac failure
2. Transient blindness
3. Convulsion
4. Hypernatremia

Correct answer: 4. Hypernatremia

Explanation: Hyponatremia (not hypernatremia) is a complication of TURP because of water intoxication as described earlier. Ref : Bailey & love, 25/e p1352